Koebner's phenomenon is seen in all except
1. Psoriasis
2. Warts
3. Tinea corporis
4. Molluscum contagiosum

Correct answer: 3. Tinea corporis

Explanation: Ans. c (Tinea corporis). (Ref. Harrison, Medicine, 18th/Ch. 52)KOEBNER'S PHENOMENON: (ISOMORPHIC RESPONSE)# Epidermal injury may stimulate lesions to subsequently develop in the area of the injured skin. When the injury occurs in streaks, the ensuing papules will develop in linear array - Koebner's phenomenon.# Koebner's phenomenon is best known in psoriasis, it may also occur in other skin diseases like:- Kaposi's sarcoma- Lichen planus and Lichen nitidus,- Pityriasis rubra pilaris,- Darier's disease.# In all of the cases following trauma, there is a brief incubation period, which is followed by the lesions.# In molluscum contagiosum, it's a communicable viral disease confined to the skin.# Transmission requires direct contact with infected lesions, fomites might also transmit the disease, and experimental transmission in humans has been achieved with an incubation period of 14-50 days.# In case of Tinea corporis, the lesions are generally self-limited. Treatment may prevent spread, but there is no association with Kobner's phenomenon.